Gettler test detects:
1. Diatoms in drowning
2. Chloride content of blood in drowning
3. Weight of lungs in drowning
4. Magnesium content of blood in drowning

Correct answer: 2. Chloride content of blood in drowning

Explanation: Ans. (B). Chloride content of blood in drowning